Hypersensitivity vasculitisis seen most commonly in
1. Post capillary venules
2. Arterioles
3. Veins
4. Capillaries

Correct answer: 1. Post capillary venules

Explanation: HYPERSENSITIVITY VASCULITIS
In hypersensitivity vasuculitis, postcapillaryvenules are the most commonly involved vessels, capillaries and arterioles are involved less frequently.
It is primarily a disease of small vessels.
It is characterized by leukocytoclasis, a term that refers to the nuclear debris remaining from the neutrophils that have infiltrated in and around the vessels during the acute stages.